Which of the following indicates radiograph contrast induced nephropathy?
1. Increased creatinine levels
2. Decreased urine output
3. Increased bilirubin
4. Decreased bilirubin

Correct answer: 1. Increased creatinine levels

Explanation: Ans.Increased creatinine levels